A 37 weeks pregnant woman attends an antenatal clinic at a Primary Health Centre. She has not had any antenatal care till now. The best approach regarding tetanus immunization in this case would be to
1. Give a dose of Tetanus Toxoid (TT) and explain to her that it will not protect the new born and she should take the second dose after four weeks even if she delivers in the meantime
2. Do not waste the TT vaccine as it would anyhow be of no use in this pregnancy
3. Given one dose of TT and explain that it will not be useful for this pregnancy
4. Give her anti-Tetanus Immunoglobulin along with the TT vaccine

Correct answer: 1. Give a dose of Tetanus Toxoid (TT) and explain to her that it will not protect the new born and she should take the second dose after four weeks even if she delivers in the meantime